All of the following cause microcytic hypochromic anaemia, EXCEPT -
1. Lead poisoning
2. Thalessemia
3. Iron deficiency
4. Fanconi anaemia

Correct answer: 4. Fanconi anaemia

Explanation: Microcytes are present in iron deficiency anemia,thalassemia , lead poisoning, spherocytosis, anemia of chronic disorders & hemolytic anemia(fragmentation of erythrocytes).

Harsh mohan textbook of pathology sixth edition pg no 292